A country in Africa has shown improvement in death rate, but the birth rate is yet to be controlled and thus high. The country is most likely to be in which stage of demographic cycle:
1. First
2. Second
3. Third
4. Fourth

Correct answer: 2. Second

Explanation: Second stage (Early expanding): The death rate begins to decline, while the birth rate tends to fall. Many countries in South Asia and Africa are in this phase. Ref: Park, 22nd edition pg: 441 Chapter: Demography and family planning